A patient involved in a road traffic accident presents with quadriparesis, sphincter disturbance, sensory level up to the upper border of sternum and respiratory rate of 35/minute. The likely level of lesion is:
1. C1 - C2
2. C4 - C5
3. T1 - T2
4. T3 - T4

Correct answer: 2. C4 - C5

Explanation: (b) C4-C5- C2 dermatome - Occiput and top part of neck.- C3 dermatome - Lower part of neck up to the clavicle.- C4 dermatone - Area just below the clavicle (Area which coincide with upper border of sternum).- Motor supply of upper-limb is C5-8 T1 - Motor supply of diaphragm (Phrenic nerve) is C3-5 - Thus C4 -C5 prolapse will cause increased respiratory rate with all mentioned features.